Which if these is False regarding restrictive lung disease:
1. FEV - 1/FVC decreased
2. FVC decreased
3. TLC decreased
4. FeV1 decreased

Correct answer: 1. FEV - 1/FVC decreased

Explanation: Obstructive Restrictive | inRt airflow | lung volume Expiratory Inspiratory COPD Asthma Bronchiectasis ILD Scoliosis Nm causes Spirometry FEVI- | FVC - Normal or | TLC - Normal or | | PEFR | / Normal FEVI Normal | | | PEFR